Cleft lip is due to non fusion of -
1. Maxillary process with lateral nasal process
2. Maxillary process with medial nasal process
3. Maxillary process with mandibular process
4. All of the above

Correct answer: 2. Maxillary process with medial nasal process